MDR TB is defined as-
1. Resistance to INH and Ethambutol
2. Resistance to Rifampicin and Ethambutol
3. Resistance to Pyrazinamide and Rifampicin
4. Resistance to INH and Rifampicin

Correct answer: 4. Resistance to INH and Rifampicin

Explanation: Ans. is 'd' i.e., Resistance to INH and Rifampicin Treatment of multidrug resistance (MDR) TBo MDR-TB is defined as resistance to at least both INH and rifampicin. Previously it was classified as Category IV under DOTS (DOTS-PLUS).o The treatment is given in two phases, the intestive phase (IP) and the continuation phase (CP). The total duration of treatment for regimen for MDR-TB is 24-27 months, depending on the IP duration,o Treatment regimen comprises :-Intensive phase (6-9 months) : Six drugs : Kanamycin (Km), levofloxacin (Lvx), ethionamide (Eto), pyrazinamide (Z), ethambuto! (E), and cycloserine (Cs).Continuation phase (18 months): Four drugs : Levofloxaxcin, ethionamide, ethambuto! and cycloserine,o Total duration of treatment is 24-27 months.Treatment of extensive drug resistance (XDR) TBo XDR-TB is defined as resistance to any fluoroquinolone and at least one of the following three second-line drugs (capreomycin, kanamycin, amikacin), in addition to multidrug resistance,o The Regimen for XDR-TB would be of 24-30 months duration, with 6-12 months Intensive Phase (IP) and 18 months Continuation Phase (CP),o Regimen is :-intensive phase (6-12 months) : Seven drugs : Capreomycin, PAS. moxifloxacin, high dose INH, clofazimine, Linezolid, amoxyclav.Continuation phase (18 months) : Six drugs : PAS, moxifloxacin, high dose INH, clofazimine, linezolid, amoxyclav.